All of the following steps act as sources of energy in citric acid cycle except -
1. Citrate synthase
2. Isocitrate dehydrogenase
3. Succinyl thiokinase
4. Succinate dehydrogenase

Correct answer: 1. Citrate synthase

Explanation: Ans. is 'a' i.e., Citrate synthase* The total number of ATPs obtained in citric acid cycle is 10.S.NOENZYMEREDUCING EQUIVALENTATP EQUIVALENT1Isocitrate dehydrogenase1NADH2.52a ketoglutarate dehydrogenase1 NADH2.53Succinyl CoAATP/GTP14Succinate dehydrogenaseFADH21.55Malate dehydrogenaseNADH2.5Total 10* Hence citric acid cycle uses NAD, FAD, ADP and GDP. It does not use NADP as its coenzyme